Middle aged male presents with a scrotal swelling which has been present for previous 6 months. It shows positive fluctuation and the surgeon can get above the swelling. Which of the following is not to be done in the patient?
1. Lord's plication
2. Jaboulay's procedure
3. Aspiration
4. Evacuation and Eversion

Correct answer: 3. Aspiration

Explanation: Ans. C AspirationRef: SRB: 5th ed. pg. 1072The clinical presentation is of a hydrocele. The key word is that surgeon can get above the swelling. The surgeries for hydrocele are-* Subtotal excision of sac* Jaboulay's Operation* Evacuation and Eversion* Lord's plication* Sharma and Jhawers Technique (After excision, the sac with the testis is placed in newly created pocket between the fascial layers of the scrotum).